Parkinson's disease is caused by the degeneration of which one of the following biochemically distinct neural pathways?
1. Nigrostriatal adrenergic
2. Nigrostriatal dopaminergic
3. Intrastriatal cholinergic
4. Intrastriatal gabaergic

Correct answer: 2. Nigrostriatal dopaminergic

Explanation: (B) Nigrostriatal dopaminergic